Cyclodevelopmental life cycle is seen in ?
1. Malaria
2. Plague
3. Yellow fever
4. Filaria

Correct answer: 4. Filaria

Explanation: Ans. is 'd' i.e., Filaria